Prominent left border of heart is formed by all the following except:
1. Azygous vein
2. Pericardial cyst
3. Coronary artery aneurysm
4. Enlarged left auricular aneurysm

Correct answer: 1. Azygous vein

Explanation: Ans. Azygous vein